Early neonatal sepsis occurs within (hours) -
1. 8
2. 12
3. 36
4. 72

Correct answer: 4. 72

Explanation: Ans. is 'd' i.e., 72 hours